In management, "goal" refers to
1. Planned end point of all activity
2. Discrete activity
3. Ultimate desired state towards which objectives and resources are directed
4. Analysis of health situation

Correct answer: 3. Ultimate desired state towards which objectives and resources are directed

Explanation: The goal is defined as the ultimate desired state towards which objectives and resources are directed.Unlike objectives and targets, goals are not constrained by time or existing resources, nor are they necessarily attainablePark 23e pg: 868